Least chances of seizures are seen with?
1. Hypoglycemia
2. Hypocalcemia
3. HIV encephalopathy
4. Neuro-cysticercosis

Correct answer: 3. HIV encephalopathy

Explanation: Ans. (c) HIV encephalopathyRef: Harrison 19th ed. /1263* HIV associated neuro-cognitive disorder (HAND) encompass as a hierarchy of progressively more severe patterns of neurological involvement. It can range from asymptomatic neurocognitive impairment (ANI) to minor neurocognitive disorder (MND) to more severe HIV-associated dementia (HAD) (also called AIDS dementia complex or HIV encephalopathy.* Rare features include steep disturbances, psychosis (with mania), and seizures. Motor problems include imbalance, clumsiness, and weakness.